Which is a feature of osmotic diarrhoea :
1. Volume >1litre
2. Decreases/stops with fasting
3. Mostly infectious etiology
4. Osmotic gap <50mmol

Correct answer: 2. Decreases/stops with fasting

Explanation: Osmotic diarrhoea results from the presence of osmotically active, poorly absorbed solutes in the bowel lumen that inhibit normal water and electrolyte absorption. Certain laxatives such as lactulose and citrate of magnesia or maldigestion of certain food substances such as milk are common causes of osmotic diarrhoea. An increased osmotic load can be measured in the stool. This type of diarrhoea ceases with fasting. Osmotic diarrhoea: Volume < 1litre Decreases/stops with fasting Osmotic gap >100 mmol/l ref : harrisons 20th ed